Shakir tape is used for –
1. Measurement of height
2. Measurement of length of infant
3. Measurement of midann circumferance
4. Measurement of the learning ability of child

Correct answer: 3. Measurement of midann circumferance